A 70 year old patient comes with symptoms of achalasia from 3 months. Radiologic features and manometric studies show the typical features of achalasia. What is the next step
1. CT scan
2. Heller's myotomy
3. Nissens fundoplication
4. 24 hour ph monitoring

Correct answer: 1. CT scan

Explanation: This might be the case of pseudo achalasia. It is suspected when

Patient older than 60
Dysphagia less than 6 months
Excessive weight loss

Sometimes infiltrating tumor at gastroesophageal junction will mimic achalasia symptoms and manometric studies. To rule out tumor CT scan must be done